The quantity of water lost in expired air each 24 hrs is about
1. 200 ml
2. 350 ml
3. 600 ml
4. 800 ml

Correct answer: 2. 350 ml